Actinomycetoma is caused by:
1. Bacteria
2. Virus
3. Fungus
4. Protozoa

Correct answer: 1. Bacteria

Explanation: Bacteria